Which grade of ROP (Retinopathy of Prematurity) shows a ridge with retinal fibrovascular proliferation and neovasularisation?
1. ROP 1
2. ROP 2
3. ROP 3
4. ROP 4

Correct answer: 3. ROP 3

Explanation: Retinopathy of Prematurity is a vasoproliferative retinopathy that affects premature and low-birth-weight infants. ROP stage 3 shows extra retinal fibrovascular proliferation at the ridge between normal and avascular retina. Stages of Retinopathy of Prematurity are: STAGE 1: Demarcation line dividing vascualr from avascular retina STAGE 2: Intraretinal ridge. Line of stage I aquires volume and rises above the surface retina to become a ridge. STAGE 3: Ridge with extra retinal fibrovascualr proliferation and neovascularization STAGE 4: Sub-retinal detachment including macula STAGE 5: Total retinal detachment